Crohn's disease
1. has oral ulcerations similar to major apthous ulcerations
2. is a self limiting Lesion
3. is commonly seen among Indian population
4. is usually treated with Erythromycin

Correct answer: 1. has oral ulcerations similar to major apthous ulcerations